Muddy brown casts are seen in
1. Chronic renal failure
2. Acute tubular necrosis
3. Nephrotic syndrome
4. Nephritic syndrome

Correct answer: 2. Acute tubular necrosis

Explanation: Muddy brown casts made up of epithelial cells are pathognomonic for Acute tubular necrosis.